Muscle most resistant to non depolarizing block is –
1. Intercostal
2. Abdominal
3. Diaphragm
4. Adductors

Correct answer: 3. Diaphragm

Explanation: To block diaphragm completely, it is most resistant. Complete blockade occurs even after limb muscles.